A 30 year-old male was bought to the emergency department after a car accident. He sustained a severe injury to the anterior chest wall from the impact caused by the steering wheel. X-ray revealed fracture of the body of the sternum. Which of the following part of the heart is most likely to be injured.
1. Left atrium
2. Left Ventricle
3. Right Ventricle
4. Right atrium

Correct answer: 3. Right Ventricle

Explanation: The area posterior to the sternum is occupied by the right ventricle and hence is most likely to be injured in this case. The convex anterosuperior surface of the right ventricle makes up a large part of the sternocoastal aspect of the heart, and is seperated from the thoracic wall only by the pericardium. Ref: Gray's Anatomy 41st edition Pgno: 1001